Which of the following will favour the diagnosis of respiratory distress syndrome (RDS) in new born?
1. Receipt of antenatal steroids
2. Air bronchogram in chest x-ray
3. Manifests after 6 hours
4. Occurs after term gestation

Correct answer: 2. Air bronchogram in chest x-ray

Explanation: Respiratory distress syndrome (RDS) or Hyaline membrane disease (HMD): It is the commonest cause of respiratory distress in a preterm neonate often less than 34 weeks of gestation. Other risk factors for its development includes asphyxia, acidosis, maternal diabetes and caesarean section. Respiratory distress usually manifest within first 6 hours of life. Administration of antenatal corticosteroids reduces the incidence of RDS, Necrotising enterocolitis and Intraventricular hemorrhage. Chest X-ray features of RDS: Bilateral diffuse reticulogranular opacities in the pulmonary parenchyma, pronounced hypoaeration, ground glass opacity, low lung volume, "prominent air bronchograms" (aerated bronchioles superim posed on a background of collapsed alveoli) or whiteout lung.